Looser's zone occurs in all the following except
1. Osteomalacia
2. Paget's disease
3. Fibrous dysplasia
4. Hypoparathyroidism

Correct answer: 4. Hypoparathyroidism

Explanation: Seen in Hyperparathyroidism not hypoparathyroidism.